Absolute contra indications to pertussis vaccine includes all of the following except-
1. Static neurological disease
2. Progressive neuorological disease
3. Anaphylaxis after previous dose
4. Encephalopathy within seven days of previous dose

Correct answer: 1. Static neurological disease

Explanation: .the contraindications to pertussis vaccination are anaphylactic reaction,encephalopathy,a personal or strong family history of epilepsy,convulsions or similar CNS disorders,any febrile upset untill fully recovered or a reaction to one of the previously given triple vaccine injections. ref:park's textbook ,22 nd edition,pg no 155